Enterovirus 72 is:
1. Hepatitis A
2. Hepatitis B
3. Hepatitis C
4. Hepatitis E

Correct answer: 1. Hepatitis A

Explanation: Hepatitis A virus was originally classified as Enterovirus type 72 but is now assigned to a separate genus Hepatovirus in the family Picornaviridae. Picornaviruses are Icosahedral, 28-30 nm (small size), nonenveloped single stranded RNA viruses; Linear positive sense RNA genome. Hepatitis B : belongs to Hepadnaviridae , DNA virus. Hepatitis C : belongs to Flaviviridae, RNA virus. Hepatitis E: belongs to Hepeviridae , RNA virus.